The level of which one of the following compounds is elevated in bronchial asthama -
1. PGI2
2. PGH2
3. Leukotrienes
4. Thromboxane

Correct answer: 3. Leukotrienes